Which of the following is a pro drug is -
1. Levodopa
2. Poiglitazone
3. Dexamethasone
4. Captopril

Correct answer: 1. Levodopa

Explanation: Ans. is 'a' i.e., Levodopa Prodrugo Few drugs are inactive as such and need conversion in the body to one or more active metabolites,o Such a drug is called a prodrug.o All the drugs in following table are very important, sorry, I can not shorten the listProdrugLevodopaEnalaprila - MethyldopaChloralhydrateDipiveffineOxcarbazepinePrednisoneBacampicillinSulfasalazineCyc lophospham ideMercaptopurineFluorouracilSulindacAzathioprineCortisoneBenorilateProguanilZidovudinTerfenadineProntosilo Advantages of prodrugs over active formMore stableBetter bioavailabilityLess side effects and toxicity.